In the metabolism of alcohol, high doses of aspirin& phenytoin, mechanism is -
1. First pass kinetics
2. First order kinetics
3. Zero order kinetics
4. Second order kinetics

Correct answer: 3. Zero order kinetics

Explanation: Ans. is 'c' i.e., Zero order kinetics